A G2P1 woman at 35 weeks pregnancy complains of decreased fetal movement. Next step in Mgt is:
1. Observation
2. Do NST
3. Do CST
4. Do BPS

Correct answer: 2. Do NST

Explanation: Ans. is b, i.e. Do NSTRemember: Whenever a pregnant female complains of decreased fetal movementDo NSTReactiveReassure the patient nothing needs to be done,Send the patient back homeNonreactiveNSTDo a biophysical score (BPS)A nonreactive NST earlier was being followed by a CST (contraction stress test) to confirm the diagnosis of hypoxia but CST is associated with risk of initiating labor and hence these days a nonreactive NST is being followed by a biophysical score (Manning score).